Which of the following cytokine have endogenous pyrogenic activity?
1. IL-8
2. IL-6
3. TGF-b
4. IL-3

Correct answer: 2. IL-6

Explanation: Cytokine functions IL-3 Multi-CSF(induce growth of all type of hematopoietic cells in soft agar) IL-6 Endogenous pyrogenic activity Promote B-cell differentiation IgG production IL-8 Neutrophil chemotactic factor TNF-beta Induce other cytokines IL-1 and TNF -alpha are also responsible for pyrogenic avtivity.